An urologist, for a case of erectile dysfunction, decides a direct injection of prostaglandin E1 into the penis. Injection is generally performed directly into the corpus cavernosum. During the procedure, the needle would pass through which of the following layers in order
1. Skin, Buck's fascia, superficial penile fascia, dartos fascia, tunica albuginea
2. Skin, perineal membrane, superficial penile fascia, deep perineal fascia
3. Skin, superficial penile fascia, Buck's fascia, tunica albuginea
4. Skin, superficial penile fascia, tunica albuginea, perineal membrane

Correct answer: 3. Skin, superficial penile fascia, Buck's fascia, tunica albuginea

Explanation: The needle would pass, sequentially through the skin, superficial fascia of the penis, deep (Bucks) fascia of the penis, and tunica albuginea. The superficial fascia of the penis is superficial to the deep (Buck's) fascia of the penis. Dartos fascia is continuous with the superficial fascia of the penis as well as the superficial fascia of the scrotum and would not be the deepest layer pierced by the needle The tunica albuginea is the deepest layer surrounding the corpora cavernosa.